Viral enterotoxin is detected as a possible mechanism of pathogenesis in:
1. Adenovirus
2. Rotavirus
3. Calcivirus
4. Astrovirus

Correct answer: 2. Rotavirus